All of the following are true about bacillus anthrax except
1. Plasmid is responsible for toxin production
2. Cutaneous anthrax generally resolves spontatneously
3. Capsular polypeptide aids virulence by inhibiting phagocytosis
4. Toxin is a complex of two fractions

Correct answer: 4. Toxin is a complex of two fractions

Explanation: The anthrax toxin is encoded by a separate plasmid. It is a complex of three fractions: A)Edema factor B)Protective antigen factor and C)Lethal factor Reference: Textbook of Microbiology; Anathanarayan and panicker's; 10th edition; Page no: 249